HIV mostly affects which cells?
1. CD4 cells
2. CD 8 cells
3. T cells
4. Plasma cells

Correct answer: 1. CD4 cells

Explanation: harshmohan textbook of pathology 7th edition. *the pathogenesis of HIV infection is largely related to the depletion of CD4 + T cells resulting in preformed immunosuppression .Selective tropism for CD4+ molecule receptors, gp 120 envelope glycoprotein of HIV has selective tropism for the cells containing CD 4 molecules on their surface,most importantly CD4+T cells